Sacrospinous ligament is crossed by all, EXCEPT:
1. Internal pudendalaretry
2. Internal pudendal vein
3. Nerve to obturatorinternus
4. None of the above

Correct answer: 4. None of the above

Explanation: The ischial spine projects downwards and a little medially. The sacrospinous ligament is attached to its margins, separating the greater from the lesser sciatic foramen. The ligament is crossed posteriorly by the internal pudendal vessels and the nerve to obturatorinternusRef: Gray's anatomy 40th edition, Chapter 111